Testis lies at deep inguinal ring upto ?
1. 4 months
2. 5 months
3. 7 months
4. 9 months

Correct answer: 3. 7 months

Explanation: The testes develop in relation to the lumbar region of the posterior abdominal wall.During fetal life, they gradually descend to the scrotum.They reach the iliac fossa during third month, and lie at the site of deep inguinal ring upto 7 month of intrauterine life. They pass through inguinal canal during seven month, and are normally in the scrotum by the end of eighth month.